Insulin receptors are
1. Tyrosine Kinase receptors
2. Phosphodiesterase
3. Calcium calmodulin
4. Lipoprotein

Correct answer: 1. Tyrosine Kinase receptors

Explanation: Insulin receptor is a tyrosine kinase which is heterotetrameric glycoproteinRef: Essentials of Medical Pharmacology, 7th edition, KD Tripathi, page no: 261